Tapir Nose is Complication of
1. Atropic Rhinitis
2. Rhinosporidiosis
3. Rhinoscleroma
4. Syphilis

Correct answer: 3. Rhinoscleroma